Alpha la adrenergic blocker giving symptomatic relief in BPH?
1. Tamsulosin
2. Prazosin
3. Oxazocin
4. Dolazoline

Correct answer: 1. Tamsulosin

Explanation: ANSWER: (A) TamsulosinREF: KDT 7th ed p. 135, Goodman Gillman s 11th ed p. 173Tamsulosin:This unselective alpha! ./alpha blocker has been found to be as effective as terazocin for symptomatic control of BPHPrazosin: blocks all subtypes of alpha receptors equally, used for symptomatic control of BPH Terazosin: long acting, more popular for BPH due to single daily dose